Selective media for gonococci-
1. Thayer martin media
2. L J medium
3. DCA medium
4. Mac Conkey agar

Correct answer: 1. Thayer martin media